Spider leg appearance is found on:
1. Polycyctic kidney
2. Pyelonephrits
3. Hydronephrosis
4. Renal artery stenosis

Correct answer: 1. Polycyctic kidney

Explanation: Ans. A i.e. Polycystic kidney Urinary system: Radiological signs and conditions Flower vase appearance: Horse shoe kidney Fish hook bladder: BPH Dropping flower sign: Ectopic ureter Cobra head appearance: Ureterocoele Adder head appearance: Ureterocoele Rim sign: Hydronephrosis Crescent sign: Hydronephrosis Golf hole bladder: TB urinary bladder Thimble bladder: Chronic TB Bilateral spider leg pattern: Polycystic kidneys Bilateral spider leg pattern: Polycystic kidney Thimble bladder: Chronic TB Rim sign: Hydronephrosis Cobra head appearance: Ureterocoele Adder head appearance: Ureterocoele